Which of the following is not used as vector in genetics?
1. Adeno virus
2. Proteosome
3. Liposome
4. Retrovirus

Correct answer: 2. Proteosome

Explanation: VECTORS : The gene is trasferred to acarrier ,known as a vector.Most commonly used vectors are plasmids.Plasmids are circular double -stranded DNA molecuels seen inside bacteria. Different vector systems used for gene delivery are : Retro viruses , Adenoviruses , Adeno associated viralvectors and Herpes simplex virruses.Non -virus systems include Liposomes , Plasmids and physical methods. Proteosomes are protein complexes which degrade unneeded or damaged proteins by proteolysis , a chemical reaction that breaks petide bonds.Enzymes that help such reactions are called proteolysis. REF :DM VASUDEVAN TEXTBOOK ,7th EDITION , Page no :629.